Following statements are true regarding mycetoma except:
1. Mycetoma is a neglected tropical disease
2. Eumycetoma has no acceptable treatment at present
3. Actinomycetoma is treated with courses of antibiotics, which usually include co-trimoxazole and amikacin
4. Recurrence in patients with Eumycetoma is uncommon

Correct answer: 4. Recurrence in patients with Eumycetoma is uncommon

Explanation: Eumycetoma has no acceptable treatment at present; antifungals such as ketoconazole and itraconazole have been used but are unable to eradicate the fungus, need to be given for long periods and are expensive. Amputations and recurrences in patients with Eumycetoma are common.